Limbic system includes the following except
1. Hypothalamus
2. Amygdala
3. Hippocampus
4. Cerebellum

Correct answer: 4. Cerebellum

Explanation: (D) Cerebellum